Adverse effects that limit the use of adrenoceptors blockers include
1. Bronchoconstriction from alpha blocking agents
2. Heart failure exacerbation from beta blockers
3. Impaired blood sugar response with alpha blockers
4. Increased intraocular pressure with beta blockers

Correct answer: 2. Heart failure exacerbation from beta blockers

Explanation: Ref-KDT 6/e p142 Beta blockers are contraindicated in acute CHF because this can exacterbate with the heart failure. Bronchoconstriction And impairment of blood glucose response is seen with beta blockers. This agents also decreases intraocular pressure and are used for the treatment of glaucoma.